Variation in sensitivity of response to increasing doses of the drug in different individuals can be obtained from
1. Graded DRC
2. Quantal DRC
3. Potency
4. Efficacy

Correct answer: 2. Quantal DRC

Explanation: Quantal DRC When the response is an 'all or none' phenomenon (e.g. antiemetic drug stopping the vomiting or not), the y-axis (response axis) shows the number of person responding and X-axis shows the plasma concentration. It thus shows that how many person respond to a particular dose of the drug. It is used to calculate ED50 and LD50. Median Effective Dose (ED50): It is the dose that will produce the desired response in half of the (50%)recipients. More is ED50, lower is the potency and vice a versa. Median Lethal Dose (LD50): It is the dose that will result in death of 50% of the animals receiving the drug. More is LD50, safer is the drug. Therapeutic Index (T.I.): It is a measure of the safety of a drug. It is calculated as a ratio of LD50 to ED50. Drugs having high T.I. are safer whereas those having low T.I. are more likely to be toxic.